Sump syndrome occurs most commonly after
1. Cholecystojejunostomy
2. Choledochoduodenostomy
3. Mirriz's syndrome
4. Choledochojejunostomy

Correct answer: 2. Choledochoduodenostomy

Explanation: SUMP SYNDROME Particulate matter, stones and food debris accumulate and stagnate in the distal, "blind" end of the common duct SUMP syndrome occurs after choledochoduodenostomy Occasional cause of recurrent cholangitis that can result in anastomotic stricture Management Endoscopic management, consisting of sphincterectomy with or without balloon dilation of the anastomosis End - to-side hepatic jejunostomy, Roux-en-Y, to prevent persistent regurgitation of intestinal contents and to remove the "sump" permenantly, is preferred surgical procedure Ref: Blumgart 5th edition Pgno :632